A person has different multiple personality is suffering from:
1. Mania
2. Personality disorder
3. Paranoid schizophrenia
4. Dissociative disorder

Correct answer: 4. Dissociative disorder

Explanation: D i.e. Dissociative disorderIt is characterizedby- 1) Sudden onset & recovery 2) Disturbance in consciousness, identity & memory, 3) Precipitated by stress or secondary gain 4) Physical examination & investigation normalDissociative Amnesia Q Dissociative disorders not otherwise specifiedMost common type of dissociative disorder Dissociative stuporMost common type is circumscribed amnesia which is - Dissociative hallucinosischaracterized by sudden inability to recall important Dissociation following torture or politicalpersonal information particularly concerning stressful or indoctrinationtraumatic life events.Q - Somnambulism- Patient is aware of amnesiaQ. - 'Out of body' experiencesDissociative Fugue Q Trance/Possession disorderCharacterized by episodes of: Characterized by control of person by a spirit,Wandering away from home Q usually the person is aware of existence of other assumption of purposeful new identity with completeamnesia for earlier life & absence of awareness of amnesia QOnset & termination are abruptAfter termination, there is amnesia for Fugue episodes &recovery of memory of earlier life.Dissociative Identity Ganser's SyndromeQ/Hysterical(Multiple Personality disorder) Pseudo-dementiaQ- Person is dominated by two or more personalities. Common in Prison Inmates- Only one is being manifested at a time. Characterized by Vorbeireden or Approximate- One personality is not aware of existence of other.Q answers